The longest half life is that of:
1. Radon
2. Radium
3. Uranium
4. Cesium

Correct answer: 3. Uranium

Explanation: Ans. Uranium